Diaphram is formed from the following components except
1. Septum Transversum
2. Splanchnopleuric mesoderm
3. Ventral and Dorsal mesentry of oesophagus
4. Mesoderm of body wall

Correct answer: 2. Splanchnopleuric mesoderm

Explanation: The diaphragm is developed from (a) Septum transversum(b) Pleuro-peritoneal membranes(c) Ventral and dorsal mesenteries of oesophagus(d) Mesoderm of body wall, including the mesoderm around the dorsal aoaReference: Inderbir Singh Embryology; 10th edition; Page no: 227